Pulmonary function test of FEV1 ↓, FEV1 / FVC ↑ or Normal with ↓ Compliance of lung tissue is seen in
1. Obstructive lung disease
2. Emphysema
3. Bronchial asthma
4. Restrictive lung disease

Correct answer: 4. Restrictive lung disease